Which of the following is not compatible with a diagnosis of chronic myelomonocytic leukemia?
1. Peripheral blood monocytosis more than 1 x 109/L
2. Absence of Philadelphia chromosome
3. More than 20% blasts in blood or bone marrow
4. Myelodysplasia

Correct answer: 3. More than 20% blasts in blood or bone marrow

Explanation: WHO (2017) Diagnostic criteria of CMML: Persistent peripheral blood monocytosis (>= 1 x 109/L) with monocytes accounting for >= 10% of the leukocytes WHO criteria for BCR-ABL1--positive chronic myeloid leukaemia, primary myelofibrosis, polycythaemia vera and essential thrombocythaemia are not met No rearrangement of PDGFRA, PDGFRB or FGFR1 and no PCM1-JAK2 Blasts (incl. promonocytes) constitute < 20% of the cells in the peripheral blood and bone marrow Dysplasia involving >= 1 myeloid lineages orIf myelodysplasia is absent or minimal, criteria 1-4 are met and:- an acquired, clonal cytogenetic or molecular genetic abnormality is present in haematopoietic cells, or- the monocytosis has persisted for >=3 months and all other causes of monocytosis (e.g. malignancy, infection, and inflammation) have been excluded